Which of the following is a primary skin lesion?
1. Crust
2. Atrophy
3. Purpura
4. Induration

Correct answer: 3. Purpura

Explanation: Ans. C. Purpura* Purpura is a primary skin lesion.* Purpura is a condition of red-or purple-discolored spots on the skin that do not blanch on applying pressure. The spots are caused by bleeding underneath the skin usually secondary to vasculitis or dietary deficiency of vitamin C.Other Options:Option a: Crusts (scabs): Crusts consist of dried serum and other exudates.Option b: Atrophy* Loss of tissue from one or more of the epidermis, dermis or subcutaneous tissues.* There may be fine wrinkling and increased translucency if the process is superficial.Option d: Induration: Dermal thickening that clinically presents as skin that feels thicker and firmer on palpation than normal.Primary Lesions of SkinPrimary lesions of the skin include:* Papule* Plaque* Wheal* Vesicle* Bulla* Nodule* Macule* Patch* Purpura* PustuleFor mnemonic lovers, the following mnemonic might help!"Predatory Poisonous Wasps Viciously Bit on the Nose of My Patient causing Purulent Pus"